All are true regarding Acute flaccid paralysis in National polio Eradication programme except -
1. Acute flaccid paralysis in a child <15 years of age
2. All cases of AFP should be reported irrespective of diagnosis within 6 months of onset stool
3. Two specimens collected within 14 days of paralysisonset and at least 24 hours apart
4. 30 days follow up examination

Correct answer: 4. 30 days follow up examination

Explanation: 30 days of follow up examination. Reference:Park's textbook of preventive and social medicine,K.Park,23rd edition,page no:203-204.